Xerophthalmia is caused by -a) Vit C deficiencyb) Small bowel resectionc) Cystic fibrosisd) Chronic alcoholisme) Glomerulonephritis
1. abc
2. acd
3. bcd
4. bd

Correct answer: 3. bcd

Explanation: Xerophthalmia 

The term xerophthalmia is now reserved (by a joint WHO and USAID Committee, 1976) to cover all ocular manifestations of vitamin A deficiency, including not only the structral changes affecting the conjunctiva, cornea and occasionally retina, but also the biophysical disorders of retinal rods and cones functions.
It occurs either due to dietary deficiency of vitamin A or its defective absorption from the gut. It has long been recognized that vitamin A deficiency does not occur as an isolated problem but is almost invariably accompained by protein-energy malnutrition (PEM) and infections.

Important causes of xerophthahmia (VitA deficiency)

Fat malabsorption due to any case (e.g. small bowel resection, cystic fibrosis
Infection → measles
Diarrhoea
Malnutrition due to any cause :- chronic alcoholism
PEM